All are the measures of dispersion except
1. Variance
2. Standard deviation
3. Mode
4. Range

Correct answer: 3. Mode